Pseudomembranous colitis is caused by
1. Cl. perfringens
2. Cl. difficile
3. Cl. oedematicus
4. Si. septicum

Correct answer: 2. Cl. difficile